The widest transverse diameter of the fetal skull is
1. Biparietal diameter
2. Occipito-frontal diameter
3. Bitemporal diameter
4. Suboccipito-frontal diameter

Correct answer: 1. Biparietal diameter

Explanation: Transverse diameters of fetal skull are

Biparietal diameter: 9.5cm
Super-subparietal: 8.5cm
Bitemporal: 8cm
Bimastoid: 7.5cm